Peyronie's disease affects the -
1. Breast
2. Vagina
3. Scrotum
4. Penis

Correct answer: 4. Penis

Explanation: Ans. is 'd' i.e., Penis